Infants of diabetic mothers are likely to have the following cardiac anomaly
1. Coarctation of aorta
2. Fallot's tetralogy
3. Ebstein's anomaly
4. Transposition of great arteries

Correct answer: 4. Transposition of great arteries

Explanation: Ans. is d i.e. Transposition of great arteries "The most frequent abnormalities involve the heart and the central nervous system". "Most common are anencephalv. spinabifida. transposition of the great vessels. and ventricular septal defects". As VSD is not given in the options, transposition of great vessels is the single best answer.